Schiller Duval bodies are a feature of:
1. Arrhenoblastorna
2. Granulosa cell tumour
3. Choriocarcinoma
4. Endodermal sinus tumour

Correct answer: 4. Endodermal sinus tumour

Explanation: Schiller-Duval body Consists of a central capillary surrounded by tumor cells, present within a cystic space, lined by flat to cuboidal tumor cells. When present, pathognomic for Yolk sac tumor( Endodermal sinus tumor), They may be few in number, absent, or have atypical morphologic features.